Gettlers test is positive in ?
1. Hanging
2. Drowning
3. Strangulation
4. Firearm injury

Correct answer: 2. Drowning

Explanation: Ans. is 'b' i.e., Drowning Repeat from previous session. See explanation-2 of session-3.